Pityriasis alba may be a manifestation of
1. Atopic dermatitis
2. Worm infestation
3. Indeterminate leprosy
4. Vitiligo

Correct answer: 1. Atopic dermatitis

Explanation: Pityriasis Alba Both indeterminate leprosy and pityriasis alba are seen on the face of children. Melanocytes decreased in number with fewer and small melanosomes. It Commonly affects children. Characterized as a mild form of atopic dermatitis. Clinical findings:- Pale pink/light brown macules with indistinct margins, powdery scale: more apparent on darker skinned patients. Treatment: Topical steroids, emollients. Ref:- Dermatology pictorial review by ASRA ALI; pg num:-167